Cohort study is better than case control study in all ways except
1. Greater Comparability
2. Lesser time spent
3. Prospective analysis
4. Less Bias

Correct answer: 2. Lesser time spent

Explanation: Cohort study: Involves larger no of subjects Long follow up period needed involving delayed results Expensive Yields incidence rate relative risk as well attributable risk (refer pgno:79 park 23rd edition)